Which of the following occurs in chronic granulomatous disease?
1. Myeloperoxidase deficiency
2. Defective H2O2 production
3. Defective polymerization
4. Defective phagocytosis

Correct answer: 2. Defective H2O2 production

Explanation: Ans: b (Defective H2O2 production) Ref: Ananthanarayan, 7th ed, p. 157; Harrison, 16th ed, p. 354Chronic granulomatous disease is a disorder of microbial killing characterized by decreased ability of neutrophils to produce H2O2 Patients become succeptible to catalase producing organisms which destroy the small amount of H2O2 in these cells leading to bacterial killing.Granulomas are produced as a 2nd line of defence against organisms, that normally would be removed by acute inflammatory response.Enzyme defect - N ADPH oxidaseScreening test - NBT test (nitroblue tetrazolium dye not reduced by neutrophils in vitro)